Bumper fracture is:
1. Primary impact injury
2. Secondary impact injury
3. Tertiary impact injury
4. Secondary injury

Correct answer: 1. Primary impact injury

Explanation: Ans. Primary impact injury